Linear discontinuation of skin is known as:
1. Ulcer
2. Excoriation
3. Erosion
4. Fissure

Correct answer: 4. Fissure

Explanation: Fissure is a linear crack/discontinuation of skin. Both erosions and ulcers are raw lesions. Erosion is due to loss of only epidermis, while ulcer is due to loss of both epidermis and dermis. Excoriations, also known as scratch marks, occur due to itching or scratching, which erode the epidermis or upper dermis.